Cholesterolosis is
1. Disease of defective metabolism of choline
2. Concerned with epithelial tumors of brain
3. Diffuse deposition of cholesterol in mucosa of gallbladder
4. Disease concerned with obstructive jaundice

Correct answer: 3. Diffuse deposition of cholesterol in mucosa of gallbladder

Explanation: Straw Berry Gallbladder(cholesterolosis) It is an acquired histologic abnormality of gallbladder epithelium that results in an excessive accumulation of lipid (cholesterol esters & triglyceride) within epithelial macrophage of GB wall Cholesterol stones are found in half of the cases Treatment - Cholecystectomy is indicated in symptomatic cholesterolosis or when cholelithiasis is present Ref: Bailey and love 27th edition. Pg no :, 1201